A newly posted junior doctor had difficulty in finding out base deficit/excess for blood in a given patient. An experienced senior resident advised a quick method to determine acid base composition of blood based on PCO2. Which of the following is the likely method he suggested to predict acid base composition of blood?
1. Red ford normogram
2. DuBio's normogram
3. Goldman constant field equation
4. Siggard-Andersen normogram

Correct answer: 4. Siggard-Andersen normogram

Explanation: D i.e. Siggard - Anderson normogram